Which of the following organism is identified by interferon
1. Staphylococcus
2. Leptospira
3. Campylobacter
4. Tuberculosis

Correct answer: 4. Tuberculosis

Explanation: Interferon-gamma release assay: This test uses Mycobacterium tuberculosis antigen CFP10 which reacts with T-lymphocytes of the patient to release gamma interferon. This test is not very specific for pulmonary tuberculosis, hence is not recommended any longer. Ref: Textbook of microbiology; Ananthanarayan and paniker's; 10th edition; Pg: 360